Most preferable cement for temporary restoration:
1. GIC
2. ZOE
3. Ca (OH)2
4. Zinc polycarboxylate cement

Correct answer: 2. ZOE